A 1 yr 5 month old boy was brought to the Pediatrics OPD by his mother. She complained that her son did not have any teeth till then. All of the following could be the underlying causes EXCEPT?
1. Rickets
2. Pierre Robin sequence
3. Cleidocranial dysostosis
4. Down syndrome

Correct answer: 2. Pierre Robin sequence

Explanation: Delayed dentition: - When no tooth has erupted by the age of 13 months. Answer is Pierre Robin sequence- cause of natal teeth